Attachment of vitreous is strongest at:
1. Foveal region
2. Back of lens
3. Around ora serrata
4. Margin of optic disc

Correct answer: 3. Around ora serrata

Explanation: Ans. C i.e. Around ora serrata